Gleason's grading system is for ?
1. Carcinoma testis
2. Carcinoma colon
3. Carcinoma thyroid
4. Carcinoma prostate

Correct answer: 4. Carcinoma prostate

Explanation: Ans. is `d' i.e., Carcinoma prostateThe Gleason Grading system is used to help evaluate the prognosis of men with prostate cancer.